Increased iron binding capacity and decreased serum iron is seen in which anemia:
1. Iron deficiency
2. Aplastic
3. Sickle cell
4. Chronic infections

Correct answer: 1. Iron deficiency